Posterior wall and floor of external auditory canal is supplied by-
1. Vidian nerve
2. Arnold nerve
3. Facial nerve
4. Lesserpetrosal nerve

Correct answer: 2. Arnold nerve

Explanation: Ans. is 'b' i.e., Arnold nerve Nerve supply of pinna (auricle) and external auditory canal1) Pinna (auricle)# Lateral surface:- Great auricular nerve (C2, C3), auricular branch of vagus (Arnold's nerve), facialnerve, auriculotemporal nerve-# Medial surface:- Great auricular nerve, auricular branch of vagus (ArnokTs nerve), facialnerve, lesser occipital nerve.2) External auditory canal# Anterior wall and roof:- auriculotemporal nerve.# Posterior wall and floor:- auricular branch of vagus. Posterior wall (not floor) also receives sensory fibresfrom facial nerve through auricular branch of vagus, therefore hypoesthesia of posterior meatal wall is seen in facial nerve injury - 'Hitzelberger's sign'.